Unilateral clefts are most common on -
1. Left side
2. Right side
3. Median
4. None of the above

Correct answer: 1. Left side